What is histological appearance of vaginal mucosa ?
1. Stratified squamous
2. Glandular
3. Simple squamous
4. Cuboidal

Correct answer: 1. Stratified squamous

Explanation: The vagina is a muscular tube. The lining epithelium is stratified squamous. Underneath the epithelium is a layer of lamina propria, which is rich in elastic fibres, and does not have any glands. Under the lamina propria layer is a layer of smooth muscle, which has an inner circular and outer longitudinal layer. Finally, there is an adventitial layer, which merges with that of the bladder (anteriorly) and rectum (posteriorly). ref - BDC 6e vol2 pg